Choose the Non motile organism from the following-
1. E. coli
2. Vibrio cholera
3. Proteus mirabilis
4. Shigella dysentery

Correct answer: 4. Shigella dysentery

Explanation: Shigella are short Gram negative rods , they are non motile non sporing and non capsulated . Fimbriae may be present The given image proves shigella is less motile and therefore does not show turbidity through out the medium Ref: Ananthanarayan & panikers textbook of microbiology 9th edition page no 285